Axillary nerve is accompanied by which artery ?
1. a) Axillary
2. Subscapular
3. Anterior circumflex humeral
4. Posterior circumflex humeral

Correct answer: 4. Posterior circumflex humeral

Explanation: Ans. is 'd' i.e., Posterior circumflex humeralAxillary nerve Axillary nerve is a branch of the posterior cord of brachial plexus with root value C5 and C6. It leaves the posterior wall of axilla along with the posterior circumflex humeral vessels throuth the quadrangular space. While passing through the quadrangular space it gives its first branch, an articular twig to the shoulder joint. Then it divides into?Anterior division :- Winds around the surgical neck of humerus to supply deltoid. Posterior division :- It gives ofBranches to posterior part of deltoid.Nerve to teres minor which shows apseudoganglion.Upper lateral cutaneous nerve of arm supplying the skin covering lower part of deltoid (regimental badge region).